Amaurosis fugax is due to-
1. TIA
2. Tobacco
3. Optic neuritis
4. Papilloedema

Correct answer: 1. TIA

Explanation: Amaurosis fugax is sudden temporary and painless loss of vision due to transient failure of retinal circulation.
It may occur in carotid transient ischemic attack (TIA).